The following rodent is the natural reservoir of plague -
1. Mus musculus
2. Tatera indica
3. Rattus Rattus
4. Rattus norvegicus

Correct answer: 2. Tatera indica

Explanation: - the reservoir of plaque is wild rodents, filed mice gerbils and skunks. - in India, the wild rodent Tatera indica is the main reservoir. Reference : Park's textbook of preventive and social medicine, 23rd edition, pg no:293